True about immunoglobulins-(
1. IgE has maximum concentration
2. IgG has maximum concentration
3. IgA has minimum concentration
4. IgM has minimum concentration

Correct answer: 2. IgG has maximum concentration

Explanation: Ans. is 'b' i.e., IgG has maximum concentration . IgG has maximum serum concentration and IgE has minimum serum concentration.